Other than the spleen, occlusion of the splenic artery at its origin will most likely affect the blood supply to
1. Jejunum
2. Head of the pancreas
3. Fundus of the stomach
4. Duodenum distal to the entrance of the common bile duct

Correct answer: 3. Fundus of the stomach

Explanation: The short gastric arteries arise from the Splenic artery at the hilum of the spleen and pass forward in the gastrosplenic omentum (ligament) to supply the fundus of the stomach.